A patient with external hemorrhoids develops pain while passing stools. The nerve mediating this pain is:
1. Hypogastric nerve
2. Pudendal nerve
3. Splanchnic visceral nerve
4. Sympathetic plexus

Correct answer: 2. Pudendal nerve

Explanation: Pudendal nerve: Root Value Course Branches and supply S2, S3,S4 Leaves pelvis through greater sciatic foramen Enter perineum through lesser sciatic foramen Main sensory motor nerve of perineum and sensory nerve of external genitalia Dorsal nerve of penis/Clitoris Inferior rectal nerve supply anal mucosa (lower 1/2) perineal skin and external anal sphincter Perineal nerve Ref: Gray's 40th edition Pgno: 1098